Retinal detachment occurs between which layers of retina?
1. Sensory and nuclear layer
2. Inner nuclear layer and outer nuclear layer
3. Sensory and Pigmentary layer
4. Outer plexiform and inner plexiform layer

Correct answer: 3. Sensory and Pigmentary layer

Explanation: Ans. (c) Sensory and Pigmentary layerRef.: A.K. Khurana 6th ed. /299, Khurana 4th ed/ 275* Retina has 10 layers.* Inner 9 layers are known as neurosensory layer and outer one layer is known as pigmentary layer.* Retinal detachment is defined as separation of neurosensory layer of retina from pigmentary retinal layer.